Best prognosis is of which type of schizophrenia?
1. Hebemated
2. Catatonic
3. Residual
4. Undifferentiated

Correct answer: 2. Catatonic

Explanation: Ans. is 'b' i.e., Catatonic o Best prognosis-Catatonic schizophrenia.o Late onset & good prognosis-Paranoid schizophrenia (overall second best prognosis after catatonic type).o Worst prognosis and early onset-Hebephrenic (disorganized schizophrenia).